Mesodermal in origin among the following is
1. Astrocytes
2. Oligodendrocytes
3. Ependymal cells
4. Microglial cells

Correct answer: 4. Microglial cells

Explanation: There is a third type of neuroglial cell called microglia. This type doesn't develop from the cells of the neural tube but migrates into it along with blood vessels. These cells are believed to be of mesodermal in origin HUMAN EMBRYOLOGY-INDERBIR SINGH TENTH EDITION-PAGE NO:116